With respect to surgical repair of cleft palate, the soft palate is first repaired, ideal tune for which is
1. 12 months
2. 9 months
3. 6 months
4. 3 months

Correct answer: 3. 6 months

Explanation: Tunning of primary cleft lip and palate procedures (after Delaire) Cleft lip alone Cleft palate alone Clef lip and palate Unilateral(One side) : One operation at 5-6 months Bilateral (both sides) : One operation at 4-5 months Soft palate only : One operation at 6 months Soft and hard palatr : Two operations Soft palate at 6 months Hard palatr at 15-18 months Unilateral : Two operations Cleft lip and soft palate at 5-6 months Hard palate and gun pad with or without lip revision at 15-18 months Bilateral : Two operations Cleft lip and soft palate at 4-5 months Hard palate and gum pad with or without lip revision at 15-18 months Ref: Bailey and love 27th edition Pgno :692